Ram has a 4 ml lignocaine vial of 2% solution. How much lignocaine is present in 1 ml ?
1. 2 mg
2. 8 mg
3. 20 mg
4. 200 mg

Correct answer: 3. 20 mg